Frontal lobe syndrome is characterised by all except
1. Slowed thinking
2. Decreased curiosity
3. Social withdrawal
4. Good Judgement

Correct answer: 4. Good Judgement

Explanation: The frontal lobe syndrome, consists of poor judgement, slowed thinking, decreased curiosity, social withdrawal, and irritability. The frontal lobe is the region that determines how the brain acts on its knowledge. Frontal lobe injury Impairs the executive function: motivation, attention, and sequencing of actions. Aphasia, apraxia, constructional apraxia, neglect and memory deficits can be seen characterised by changes in personality. Apathetic indifference and impulsive behaviour. Commonly urinary incontinence and fecal incontinence is seen. Commonly produced by trauma, infarcts, tumours, lobotomy, multiple sclerosis, or Pick's disease. Frontal lobe pathology may become apparent only under unstructured, stressful, real-life situations and are difficult to detect in intelligent scales, as IQ mostly requires parietal lobe activation. Ref:: Harrison's Principles of Internal Medicine 20th edition Pgno: 165